The normal spleen weighs about:
1. 150 g
2. 250 g
3. 350 g
4. 450 g

Correct answer: 1. 150 g

Explanation: The normal spleen weighs approximately 150g(and decreases its size with age. Ref: Harisson, Edition - 18, Page - 468